Which of the following features are not seen a case of carcinoma of penis ?
1. Circumcision is protective
2. Lesion is painless to begin with
3. Commonest site is glans penis
4. Distant metastasis is common

Correct answer: 4. Distant metastasis is common

Explanation: The tumor has a tendency to metastasis to inguinal lymphnodes. Distant metastasis is rare.